Retruded tongue position in an edentulous patient results in
1. Good peripheral seal
2. Over extended impression
3. Under extended impression
4. Increased stability of lower denture

Correct answer: 2. Over extended impression